Which of the following is not true about Gastrointestinal Stromal Tumor (GIST)?
1. Originates from interstitial cells of Cajal
2. Most common mesenchymal tumour of gastrointestinal tract
3. Prognosis depends on size
4. ALK gene mutation is seen in most of the cases

Correct answer: 4. ALK gene mutation is seen in most of the cases

Explanation: Ans. d. ALK gene mutation is seen in most of the cases